Which of the following is most strongly associated with pathogenesis of Psoriasis:
1. Th16
2. Th1
3. Th2
4. Th17

Correct answer: 4. Th17

Explanation: PSORIASIS Lesions are characterized by infiltration of skin with activated T cells, which have a role in the pathophysiology of psoriasis (cytokines stimulate keratinocyte hyperproliferation). Earlier it was considered that Th1 cells(CD8+) plays most imp. role in pathogenesis, but now Th17 is considered most imp. in pathogenesis, induced by IL-23. Is linked to HLA-Cw6 and, to a lesser extent, to HLA-DR7. Psoriatic arthritis is associated with HLA- B27